Glasgow coma scale motor score 4 is
1. Decotricate position
2. Withdrawl from pain
3. Decerebrate position
4. Localize pain

Correct answer: 2. Withdrawl from pain

Explanation: Glasgow coma scale Motor response score: 6= obeys command 5= localised to pain 4= Withdraws from pain 3= Flexion in response to pain 2= Extension to pain 1= No motor response Reference : Bailey & Love, 27th Edition, page no = 325.